Anaphylotoxin in complement system ?
1. C3b
2. C5_9
3. C5a
4. C1_3

Correct answer: 3. C5a

Explanation: Ans. is 'c' i.e., Csa